The most common site of Myocardial infarction is:
1. Anterior wall
2. Interventricular septum
3. Posterior wall
4. Inferior wall

Correct answer: 1. Anterior wall

Explanation: Answer is A (Anterior wall) Repeat The most common site. of myocardial infarction is the anterior wall of left ventricle.